Tardy ulnar nerve palsy is commonly seen in:
1. Cubitus varus deformity
2. Cubitus valgus deformity
3. Dinner fork deformity
4. Garden spade deformity

Correct answer: 2. Cubitus valgus deformity

Explanation: Ans. B: Cubitus Valgus DeformityA Shallow ulnar groove predisposes to ulnar nerve injury.Inadequate fibrous arch or recurrent subluxation of ulnar nerve can lead to 'Tardy ulnar nerve palsy'. Progressive deformity of cubitus valgus may precipitate this condition.The nerve may be compressed if the fascial roof formed by flexor carpi ulnaris gets tightened resulting in numbness in the little finger and ulnar half of ring finger.There is motor weakness of intrinsic muscles of the hand supplied by ulnar nerve.The surgical treatment for this condition may be:Decompression of cubital tunnel, and/orAnterior transposition of ulnar nerve, orMedial epicondylectomy